For Sudden, Unilateral or bilateral weakness, sensory loss, disorder of ocular motility, loss of facial sensation, ataxia select the site of the lesion of cerebrovascular disease,
1. Internal carotid artery
2. Middle cerebral artery
3. Midbasilar artery
4. Penetrating branch, middle cerebral artery

Correct answer: 3. Midbasilar artery

Explanation: Sudden, painless monocular blindness is a sign of carotid disease. The symptom is also called amaurosis fugax . The patient may describe a shade dropping in front of the eye or describe vision like looking through ground glass. If a thrombus propagates up the carotid to the middle cerebral artery, then symptoms seen in middle cerebral artery occlusion or embolization (hemiparesis with sensory symptoms, aphasia depending on hemispheric dominance) will also occur. Midbasilar artery disease produces weakness and sensory loss with diplopia, loss of facial sensation or movement, and ataxia. Branches of the basilar artery supply the base of the pons and superior cerebellum. The symptoms described suggest disease in the posterior circulation, whichincludes paired vertebral arteries, the basilar artery, and the paired posterior cerebral arteries. The basilar artery divides into two posterior cerebral arteries that provide branches to the cerebellum, medulla, pons, midbrain, thalamus, and temporal and occipital lobes. A midbasilar artery occlusion could cause ataxia of limbs by involving pontine nuclei; paralysis of the face, arm, and leg by involving corticospinal tracts; and impairment of facial sensation by involvement of fifth nerve nucleus. Occlusion of the entire middle cerebral artery results in contralateral hemiplegia, hemianesthesia, and homonymous hemianopsia. When the dominant hemisphere is involved, aphasia is present. When the nondominant hemisphere is involved, apraxia and neglect are produced. When only a penetrating branch of the middle cerebral artery is affected, the syndrome of pure motor hemiplegia is produced, as the infarct involves only the posterior limb of the internal capsule, involving only motor fibers to the face, arm, and leg (lacunar infarct).